Which of the following is true about acute dilatation of stomacha) Dilatation of stomach seen on x-rayb) Presents with vomitingc) Aspirationd) Immediate open the abdomene) Atony of the stomach
1. abce
2. abcd
3. acde
4. abde

Correct answer: 1. abce